Diameter of medium Bristles tooth brush should be:
1. 0.1mm.
2. 0.2mm.
3. 0.3mm.
4. 0.4mm.

Correct answer: 3. 0.3mm.

Explanation: Diameter of medium Bristles tooth brush is 0.3mm or 0.012 inch.